All of the following decrease AV conduction accept
1. Esmolol
2. Digitalis
3. Lignocaine
4. Verapamil

Correct answer: 3. Lignocaine

Explanation: Refer kDT 6/e p 495 Class IV agents are slow non-dihydropyridine calcium channel blockers. They decrease conductionthrough the AV node, and shorten phase two (the plateau) of the cardiac action potential. They thusreduce the contractility of the heart, so may be inappropriate in heart failure. Class 4 antiarrythmias are calcium channel blockers